Angiomatosis is
1. Sturge Weber syndrome
2. Rendu Osler Weber syndrome
3. Parry Romberg syndrome
4. Peutz Jeghers syndrome

Correct answer: 1. Sturge Weber syndrome